If a 95% Confidence Interval for the prevalence of cancer smokers aged > 65 years is 56% to 76%, the chance that the prevalence could be less than 56% is -
1. Nil
2. 44%
3. 2.50%
4. 5%

Correct answer: 3. 2.50%

Explanation: In this question:
56 to 76 confidence interval covers 95% (2SD) of values.
That means 5% of values will fall outside the range of 56-76 → 2.5% values will be below 56 and 2.5% values will be above 76.